Hematopoetic stem cell differ from progenitor stem cell in that they can -
1. Form terminally differentiated cells
2. Long term reconstitution of bone marrow
3. Produce growth factors
4. Have receptors for anchoring proteins

Correct answer: 2. Long term reconstitution of bone marrow

Explanation: Reference:Robbins basic pathology 9th edition pg no 74:Perhaps the most extensively studied tissue stem cells are hematopoietic stem cells found in the bone marrow. Although rare, they can be puri ed to virtual purity based on cell surface markers. Hematopoietic stem cells can be isolated from bone marrow as well as from the peripheral blood after mobilization by administration of certain cytokines such as granulocyte colony-stimulating factor (G-CSF). As is well known, they can give rise to all blood cell lineages and continuously replenish the formed ele- ments of the blood as these are consumed in the periphery. In clinical practice, marrow stem cells are used for treat- ment of diseases such as leukemia and lymphomas (Chapter 11). In addition to hematopoietic stem cells, the bone marrow also contains a somewhat distinctive population of tissue stem cells, often called mesenchymal stem cells. These cells can give rise to a variety of mesenchymal cells, such as chondroblasts, osteoblasts, and myoblasts. Hence, there is great interest in their therapeutic potential Embryonic stem cells (ES cells) are the most undifferenti- ated stem cells. They are present in the inner cell mass of the blastocyst and have extensive cell renewal capac- ity. Hence they can be maintained in culture for over a year without differentiating. Under appropriate culture conditions, ES cells can be induced to form specialized cells of all three germ cell layers, including neurons, cardiac muscle, liver cells, and pancreatic islet cells.